Pinna develops from:
1. 1st pharyngeal arch
2. 1st and 3rd pharyngeal arch
3. 1st and 2nd pharyngeal arch
4. 2nd pharyngeal arch

Correct answer: 3. 1st and 2nd pharyngeal arch

Explanation: Ans. C. 1st and 2nd pharyngeal arch